All muscles of tongue are supplied by hypoglossal nerve except -
1. Geniologlossus muscle
2. Hypoglossus muscle
3. Styloglossus muscle.
4. Palatoglossus muscle

Correct answer: 4. Palatoglossus muscle